Best to monitor intraoperative myocardial ischemia (infarction) is
1. ECG
2. CVP monitoring
3. Transesophageal echocardiography
4. Invasive intracarotid arterial pressure

Correct answer: 3. Transesophageal echocardiography

Explanation: C i.e. Transesophageal echocardiography Tranoesophageal echocardiography provides a real time picture of all 4 cardiac chambers and valves. It can identify any malfunctioning valves in addition to any wall motion abnormalities related to myocardia ischemia. It is very useful during anesthesia. Abnormal motion of ventricular wall detected in this way is a reliable index of myocardial ischemia and may guide drug therapy, can identify if therapy has successfully treated the ischemia or indicate the need for further surgical revascularization CVP (catheer in central vein) measures right sided filling pressure whereas pulmonary artery catheter measures/monitors left heart filling pressure. Arterial cannulation measures direct systemic arterial pressure and facilitate sampling of arterial blood for analysis.